Drugs used in CHF are:
1. Nesiritide
2. Digoxin
3. Spironolactone
4. All of the above

Correct answer: 4. All of the above

Explanation: Digoxin is a cardiac glycoside. Spironolactone is aldosterone antagonist and reduce ECF volume and thus decrease preload. Nesiritide enhances BNP (REF.Essentials of medical pharmacology KD TRIPATHI 8th Edition)